According to Shaw's classification, Ill degree is :
1. Cx above introtius
2. Cx at the level of introtius
3. Cx outside the introtius
4. Procidentia

Correct answer: 3. Cx outside the introtius

Explanation: Cx outside the introtius